DALY true is -
1. Indian life expectancy used as standard
2. One DALY means one lost year of life
3. Moility indicator
4. None

Correct answer: 2. One DALY means one lost year of life

Explanation: Ans. is 'b' i.e., On DALY means one lost year of life One DALY is equal to one year of healthy life lost. o It is a disability indicator and Japanese life expectancy is used as a standard. Following have been added in 22nd/e of Park o Quality-adjusted life years (QALY) : - It is a measure of disease burden including both quality and quantity. It assesses the value for money of medical intervention. The QALY is based on the number of years of life that would be added by intervention. Each year in perfect health is assigned a value of 1 down to a value of zero for death, i.e., 1 QALY (1 year of life x 1 utility value = 1 QALY) is a year of life lived in perfect health. Half a year lived in perfect health is equivalent to 0.5 QALY (1 year x 0.5 utility value). o Diasability-free life expectancy (Active life expectancy) : - DFLE is the average number of years an individual is expected to live free of disability if current pattern of mortality and disability continue to apply.